CD-10 is seen in-
1. ALL
2. CLL
3. HCL
4. CML

Correct answer: 1. ALL

Explanation: In acute lymphoblastic leukaemia, immunophenotyping pre B cell type: typically positive for pan-B cell markers CD19,CD10,CD9a. Reference textbook of Pathology 7th edition author Harsha Mohan page number 354